Antibody transferred from mother to foetus -
1. IgG
2. IgM
3. IgD
4. IgA

Correct answer: 1. IgG

Explanation: IgG is the main serum immunoglobulin consisting of 80% of the total. equally distributed between intravascular and extravascular compartments. IgG is the only maternal immunoglobulin that is normally transported across the placenta and provide natural passive immunity in the newborns. Reference : Anathanarayan & paniker's 9th edition, pg no: 96,97